All are true regarding H.Pylori except -
1. Less prevalent in developing countries
2. Ulcer is caused by toxigenic strains
3. Urea breath +ve test is a rapid method of detection
4. Gram -ve organism

Correct answer: 1. Less prevalent in developing countries